All of the following are ergot alkaloids except ?
1. Ergometrine
2. Ergotoxine
3. Methysergide
4. Ketanserine

Correct answer: 4. Ketanserine

Explanation: Ans. is 'd' i.e., Ketanserine Clinically important ergot alkaloides are Ergometrine 3. Ergotoxin 5. Dihydroergotamine 7. Methysergide Ergotamine 4. Dihydroergotoxin 6. Bromocriptine